Which of the following is not true regarding clasp design
1. Each retentive terminal should be opposed by reciprocal arm
2. Amount of retention should always be maximum necessary
3. Path of escapement should not be equal to path of insertion
4. Unless guiding planes are employed, retentive tips should be bilaterally opposed.

Correct answer: 2. Amount of retention should always be maximum necessary

Explanation: The amount of retention should always be the minimum necessary to resist reasonable dislodging forces.